Causes of iron deficiency anemia are all except -
1. CRF
2. Young female
3. Celiac sprue
4. Hook worm

Correct answer: 1. CRF

Explanation: In chronic renal failure ,there will be decreased survival of circulating red cells which is attributed to mononuclear phagocyte system.The blood picture shows normocytic normochromic anemia.

Reference :Harsh mohan textbook of pathology sixth edition pg no 302.